Glucose transporter present in RBCs
1. GLUT - 1
2. GLUT - 2
3. GLUT - 3
4. GLUT - 4

Correct answer: 1. GLUT - 1

Explanation: RBC's contain GLUT - 1 transporter.
GLUT -1 is insulin independent.
It is also present in Brain and Comea.
GLUT - 2 present in β Cells of pancreas, kidneys, liver, small intestine.
GLUT - 3 is present in Newrons, Placenta.
GLUT - 4 is present in muscles, adipose tissue.
GLUT - 5 also transports fructose and is present in Hepatocyter, seminal vesicles GIT.